Commonest site of metastasis of Wilm's tumour is ?
1. Bones
2. Lungs
3. Liver
4. Brain

Correct answer: 2. Lungs

Explanation: Ans. is 'b' i.e., Lungs